Most common nerve injured in ligation of sup thyroid artery -
1. RLN
2. Facial N.
3. Mandibular M.
4. External laryngeal nerve

Correct answer: 4. External laryngeal nerve

Explanation: The external laryngeal nerve lies in relation to superior thyroid artery.
The recurrent laryngeal nerve lies close to superior laryngeal artery.